Neurogenic shock is characterized by:-
1. Hypertension and tachycardia
2. Hypertension and bradycardia
3. Hypotension and tachycardia
4. Hypotension and bradycardia

Correct answer: 4. Hypotension and bradycardia

Explanation: Neurogenic shock is characterized by hypotension and bradycardia. NEUROGENIC SHOCK Result from loss or suppression of sympathetic tone - Massive vasodilatation in venous vasculature -|Venous return - | Cardiac output - Impaired tissue perfusion & cellular metabolismQ Causes of Neurogenic Shock High cervical spinal cord injuryQ Inadvertent cephalad migration of spinal anesthesiaQ Deep general anesthesiaQ (depress vasomotor tone) Devastating head injuryQ CLINICAL FEATURES Paralysis below the level of lesion; HypotensionQ Bradycardia due to loss of sympathetic toneQ - Arterial & venous vasodilatationQ - Warm & dry skinQ HypothermiaQ TREATMENT Treatment involves a simultaneous approach to relative hypovolemia & to loss of vasomotor tone. Excessive volumes of fluidQmay be required to restore normal hemodynamics if given alone. Once hemorrhage has been ruled out, norepinephrine or a pure alpha-adrenergic agentQ (phenylephrine) may be necessary